Best diagnosis of ovulation is by :
1. Ultrasound
2. Laproscopy
3. Endometrial biopsy
4. Chromotubation

Correct answer: 1. Ultrasound

Explanation: Ultrasound